Minerva jacket is used for
1. Cervical TB
2. Dorsolumbar TB
3. Lumbar TB
4. Sacral TB

Correct answer: 1. Cervical TB

Explanation: * Motion restriction at C5-C7 * Anterior and posterior chest plates connected by shoulder straps * Chin plate * Occipital piece that connect to anterior and posterior struts. * The brace has poor control of flexion, extension, rotation, and lateral bending at C1-C2. Indications : * Minimally unstable fractures from C3-T2 * Internal fixation from C3-T2 Motion restrictions: * Limitation of flexion and extension from C3-T2. Contraindications: * Flexion control at C1-05: Better served with a SOMI ref : maheswari 9th ed